Best method for hemoglobin estimation is ?
1. Sahli's hemoglobinometer
2. Cyanmethaemoglobin method
3. Calorimetric method
4. None of the above

Correct answer: 2. Cyanmethaemoglobin method

Explanation: Ans. is 'b' i.e., Cyanmethoemoglobin method o The most reliable and accurate method is the cyanmethaemoglobin method employing drabkins solution and a spectrophotometer.